Structures injured while resecting the free edge of lesser ornentum:
1. Portal vein
2. Hepatic artery proper
3. Common bile duct
4. All

Correct answer: 4. All

Explanation: A i.e. Portal vein; B i.e. Hepatic artery; E i.e. Common bile ductFree right margin (edge) of lesser omentum contains hepatic artery proper, portal vein (note hepatic vein), common bile duct, portocaval lymph nodes & lymphatics and hepatic plexus of nerves ensheathed in a perivascular fibrous capsule